Sterilisation by steam under pressure
1. Tyndall's Chamber
2. Koch's Arnold Steamer
3. Hot air oven
4. Autoclave

Correct answer: 4. Autoclave

Explanation: Autoclave - Moist heat, steam under pressure. 121C for 15 min Two types of autoclaves are available : gravity displacement type and high vaccum sterilizers. In its simplest form, the laboratory autoclaves consist of a vertical or horizontal cylinder of gunmetal or of stainless steel in a supporting sheet iron case. The lid or door Is fastened by screw clamps and made airtight using suitable washer. The autoclave has on its lid or upperside a discharge tap for air and steam, a pressure gauge and a safety valve that can be set to blow off at any desired pressure. Heating is by gas or electricity Ref : Ananthanarayana textbook of Microbiology 9th edition Pgno : 32